Cochleate uterus is
1. Large uterus
2. Acute anteflexion
3. Acute retroflexion
4. Large cervix

Correct answer: 2. Acute anteflexion

Explanation: Cochleate uterus: A small adult uterus with a conical cervix and a body that is small, globular, and acutely flexed. ref - pubmed.com